Most fatal amoebic encephalitis is caused by -
1. E.histolytica
2. Naeglaria
3. E.dispar
4. Acanthamoeba

Correct answer: 2. Naeglaria

Explanation: The parasite invades the cribriform plate and travels along the olfactory nerves to brain leading to a rapidly fatal infection known as primary amoebic meningoencephalitis.It occurs in young adults and children with a recent history of swimming in fresh water (refer pgno:25 baveja 3 rd edition)